Gillette's space is:
1. Retropharyngeal space
2. Peritonsillar space
3. Parapharyngeal space
4. None

Correct answer: 1. Retropharyngeal space

Explanation: The retropharyngeal space is divided by a midline fibrous raphe into two spaces known as space of Gillette. Peritonsillar space is the space between the capsule of tonsil and the circular muscles of the pharynx. This contains a loose areolar tissue. Infection of this space is known as quinsy.